Forces arising from attractions between transient dipoles generated by the rapid movement of electrons of all neutral atoms?
1. Hydrophobic forces
2. Covalent forces
3. Van der Waals forces
4. Electrostatic forces

Correct answer: 3. Van der Waals forces

Explanation: Van der Waals Forcesvan der Waals forces arise from attractions between transient dipoles generated by the rapid movement of electrons of all neutral atoms. Significantly weaker than hydrogen bonds but potentially extremely numerous, van der Waals forces decrease as the sixth power of the distance separating atoms. Thus, they act over very short distances, typically 2 to 4 A.Ref: Harper's Biochemistry; 30th edition; Chapter 2 Water & pH